Which of the following is used as a control during sterilization of ionizing radiations
1. Bacillus stearothermophilus
2. Bacillus anthracis
3. Bacillus subtilis
4. Bacillus pumilus

Correct answer: 4. Bacillus pumilus

Explanation: Bacillus stearothermophilus - Moist heat ( Autoclave ), Bacillus anthracis causes anthraxBacillus subtilis - Dry heat ( Hot air oven)